The most common cause of "Antibiotic" induced colitis is due to:
1. E. coli
2. Clostridium difficile
3. Salmonella
4. Campylobacter jejuni

Correct answer: 2. Clostridium difficile

Explanation: Clostridium difficile